Nitrogen narcosis is caused due to:
1. Nitrogen inhibits dismutase enzyme
2. Increase production of nitrous oxide
3. Increased solubility of nitrogen in nerve cell membrane
4. Decrease in oxygen free radicals

Correct answer: 3. Increased solubility of nitrogen in nerve cell membrane

Explanation: Ans. (c) Increased solubility of nitrogen in nerve cell membrane(Ref: Indu Khurana, p.361)Nitrogen narcosis occurs due to increased solubility of nitrogen in nerve cell membrane